Clamping of the carotid arteries above the carotid sinus results in
1. Increase in blood pressure and increase in heart rate
2. Increase in blood pressure and decrease in heart rate
3. Decrease in blood pressure and increase in heart rate
4. Decrease in blood pressure and decrease in heart rate

Correct answer: 4. Decrease in blood pressure and decrease in heart rate

Explanation: When clamping of carotid vessels above carotid sinus is done, there is an increased blood pressure on the baroreceptors. 
This will cause them to discharge more and results in fall of blood pressure and heart rate.